A 12-year-old boy presents with hematemesis, melena and mild splenomegaly. There is no obvious jaundice or ascites. The most likely diagnosis is:
1. Extrahepatic portal venous obstruction
2. Non-cirrhotic portal fibrosis
3. Cirrhosis
4. Hepatic venous outflow tract obstruction

Correct answer: 1. Extrahepatic portal venous obstruction

Explanation: Most likely diagnosis is Extrahepatic Portal Vein Obstruction Differences b/w EHPVO and NCPF EHPVO - Extra hepatic portal venous obstruction- usually seen in 1st to 2nd decade; splenomegaly is less common & if its present, It is only mild/moderate NCPF - Non-Cirrhotic portal fibrosis - in 2nd -4th decade; Splenomegaly is M/C & If present, it is moderate to severe ;hematemesis present , no obvious jaundice & ascites .